Best uterine relaxation is seen with :
1. Chloroform
2. Nitrous oxide
3. Ether
4. Halothane

Correct answer: 4. Halothane

Explanation: Halogenated inhalational anesthetic agents like halothane are powerful tocolytic agents. Halothane is anesthetic of choice for internal version and manual removal of placenta.